Which of the following statements is/are true about diaphragm -a) Left side pushed down by heartb) Left side lower than right sidec) Right side lower than left sided) Right side pushed up by livere) Hernia common on left because of weak origin
1. ace
2. abde
3. bcde
4. ce

Correct answer: 2. abde